Which of the following is not a marker of seminoma?
1. PLAP
2. Alpha fetoprotein
3. Beta HCG
4. LDH

Correct answer: 2. Alpha fetoprotein

Explanation: Alpha fetoprotein is not raised in seminoma and choriocarcinoma.